Parietal cell secretes
1. Mucus
2. Pepsinogens
3. Gastrin
4. Intrinsic factor

Correct answer: 4. Intrinsic factor

Explanation: Parietal cells located deep in the oxyntic glands secrete HCl & intrinsic factor. -Mucus is secreted by mucous neck cells of oxyntic glands. Pepsinogen is secreted by chief/peptic cells of oxyntic glands. -G cells of pyloric glands release hormone gastrin. Reference: Guyton,11e